A person was addicted to alcohol for some 10 years. He got injured on his toe and wound was not healing. He was admitted to the hospital where he was on bed trying to catch some bugs on bed and described doctor as his brother. He also complains uncontrollable fear of being murdered, insomnia etc. Likely Diagnosis is:
1. Alcoholic seiqzures/rum fits
2. Korsakoff's psychosis
3. Delirium tremens
4. Alcoholic hallucinosis

Correct answer: 3. Delirium tremens

Explanation: Ans. C i.e. Delirium tremens